Tumor Suppressor Gene associated with Familial gastric cancer and Lobular breast carcinoma is
1. RB
2. PTEN
3. APC
4. CDH1

Correct answer: 4. CDH1

Explanation: GeneProteinFunctionFamilial syndromesSporadic CancersCDH1E-cadherinCell adhesion,inhibition of cell motilityFamilial gastric cancerGastric carcinoma, Lobular breast carcinomaRef: Robbins and Cotran Pathologic Basis of Disease; 9th edition; Chapter 7; Neoplasia; Page no: 291; Table: 7-7